Smear of vaginal discharge shows budding yeast cells. Causative agent is?
1. Candida
2. Trichomonas
3. Mobilincus
4. Chlamydia

Correct answer: 1. Candida

Explanation: ANSWER: (A) CandidaREF: Shaw 14th ed p. 131It doesnt take rocket science to figure this oneBudding yeast cells are characterstic of yeasts and out of the options only Candida is the yeast VULVOVAGINAL CANDIDIASIS:Caused by gram positive fungus Candida albicansFlourishes in acidic medium with abundant supply of carbohydratesCommonly occurs in: pregnancy , diabetes , antibiotic use , OCP , corticosteroidSymptoms: curdy cottage cheese discharge , intense pruritis , splash dysuriaDiagnosis: ph< 4, whiff test negative, 10% KOH reveals fungal elements, cultured in sabouraud's medium.